Which one of the following statements is false with regard to pyuria in children -
1. Presence of more than 5 WBC/hpf (high power field) for girls and more than 3 WBC/hpf for boys
2. Infection can occur without pyuria
3. Pyuria may be present without Urinary tract infection
4. Isolated pyuria is neither confirmatory nor diagnostic for Urinary tract infection

Correct answer: 1. Presence of more than 5 WBC/hpf (high power field) for girls and more than 3 WBC/hpf for boys

Explanation: Ans. is 'a' i.e., Presence of more than 5 WBC/hpf for girls and more than 3 WBC/hpf for boys o Pyuria is the presence of more than 5 WBCs / high power field, both for boys and girls. --CPDT o Pyuria suggests infection, but infection can occur in the absence of pyuria. --Nelson o Pyuria can present without UTI. -- Nelson o So, Isolated pyuria is neither confirmatory nor diagnostic for UTI.